Aspirin is avoided in children with influenza infection because of association of
1. Reye's syndrome
2. Nausea
3. Diarrhoea
4. Acid-base imbalance

Correct answer: 1. Reye's syndrome